Which of the following is a feature of hypochondriasis?
1. Abnormal preoccupation with abnormal body function
2. Abnormal preoccupation with normal body function
3. Normal preoccupation with abnormal body function
4. Normal preoccupation with normal body function

Correct answer: 2. Abnormal preoccupation with normal body function

Explanation: In Hypochondriasis, patients are preoccupied with the fear of having a serious disease based on misinterpretation of bodily signs and sensations. This fear persists even in the presence of evidence to the contrary and physician's reassurance or evidence from investigations. Ref: Current Medical Diagnosis and Treatment : Psychiatry 2nd edition chapter 22.